All are caused by Herpes simplex virus except
1. CA cervix
2. Gingivostomatitis
3. Mollaret meningitis
4. Herpes labialis

Correct answer: 1. CA cervix

Explanation: CA cervix is caused by human papilloma virus.